Which statement about the esophagus is TRUE? Select all that apply
1. It is a cartilaginous tube
2. It extends from the nasal cavity to the stomach.
3. It lies anterior to the trachea
4. It has upper and lower sphincters

Correct answer: 4. It has upper and lower sphincters

Explanation: D: Upper and lower esophageal sphincters, located at the upper and lower ends of the esophagus, respectively, regulate the movement of food into and out of the esophagus.
A: The esophagus is a muscular tube, lined with moist stratified squamous epithelium.
B: It extends from the pharynx to the stomach. It is about 25 centimeters (cm) long.
C: It lies anterior to the vertebrae and posterior to the trachea within the mediastinum.